Crumbled egg appearance in liver is seen in-
1. Hepatic adenoma
2. Chronic amoebic liver abscess
3. Hydatid liver disease
4. Haemangioma

Correct answer: 3. Hydatid liver disease

Explanation: • Crumbled egg appearance in liver is seen in hydatid disease